Drugs exhibiting first pass metabolism are all except one:
1. Morphine
2. Nitroglycerine
3. Propranolol
4. Salicylates

Correct answer: 4. Salicylates